Ring scotoma is seen in :
1. Papilledema
2. Macular edema
3. CRAO
4. Retinitis pigmentosa

Correct answer: 4. Retinitis pigmentosa

Explanation: The hallmark symptoms of retinitis pigmentosa are night blindness (nyctalopia) and gradually progressive peripheral visual field loss as a result of increasing and coalescing ring scotomas. The most characteristic fundoscopic findings are attenuated retinal arterioles, waxy pale optic disk, mottling of the retinal pigment epithelium, and peripheral retinal pigment clumping, referred to as "bone-spicule formation. Ref : Fletcher E.C., Chong N., Augsburger J.J., Correa Z.M. (2011). Chapter 10. Retina. In P. Riordan-Eva, E.T. Cunningham, Jr. (Eds), Vaughan & Asbury's General Ophthalmology, 18e.